The commonest cause of primary Amenorrhoea is
1. Genital tuberculosis
2. Ovarian dysgenesis
3. Mullerian duct anomalies
4. Hypothyroidism

Correct answer: 2. Ovarian dysgenesis

Explanation: Ans. is b i.e. Ovarian dysgenesis Primary amenorrhea is a condition when a female has not attained menarche by the age of 14deg in the absence of growth or development of secondary sexual characteristics. OR No menarche by the age of 16 yearsdeg regardless of the presence of normal growth and development of secondary sexual characteristics. "Mullerian agenesis - is a relatively common cause of primary amenorrhea. more frequent than congenital androgen insensitivity and second only to gonadal dysgenesis." Remember-Most common cause of Primary Amenorrhea = Gonadal dysgenesisdeg Ilnd most common cause of Primary Amenorrhea = Mullerian Agenesis (Mayer Rokitansky Kuster Hauser Syndrome). deg Also know : Causes of Primary Amenorrhea Friends most of the textbooks have given an exhaustive list of the causes of Primary amenorrhea which is quite difficult to mug, but if you try to understand and then learn. I think you will be able to recall them better during exams. Let's first see what are the basic requirements for a female to menstruate normally. An intact out flow tract which connects the uterine cavity with outside and a normally developed uterus with its endometrium lining. Proper quantity and sequence of steroid hormones i.e. Estrogen and Progesterone which inturn originate from ovary. The maturation of follicular apparatus is guided by Gonadotropins - FSH and LH (released by pituitary). The secretion of these hormones is inturn dependant on Gonadotropin Releasing Hormone (released by hypothalamus). So, broadly we can classify the causes of amenorrhea into the following compartments.